The gonadal arteries are derived from which of the following?
1. Posterolateral arteries
2. Lateral arteries
3. Ventral arteries
4. None of the above

Correct answer: 2. Lateral arteries

Explanation: B. The gonadal arteries are derived from lateral branches of the dorsal aorta.